A total of 5000 patients of glaucoma are identified and surveyed, including interviews regarding family history of glaucoma. Such a study design is called
1. Case series report
2. Case control study
3. Clinical trail
4. Cohort study

Correct answer: 1. Case series report

Explanation: A case series (also known as a clinical series) is a type of descriptive study that tracks subjects with a known exposure, such as patients who have received similar treatment or examines their medical records for exposure and outcome.